Which one of the following is the best neutrophil and macrophage attractant?
1. C5a
2. Variable region of the heavy chain of IgG
3. J chain
4. HLA-A

Correct answer: 1. C5a

Explanation: C5a is a component of complement. Activation of complement by endotoxin, or antigen antibody complexes produces C5a, which is a neutrophil and macrophage attractant. The variable region of the heavy chain of IgG is not known as the best neutrophil or macrophage attractant. The J moiety of IgM and IgA does not possess chemotactic properties for neutrophils and macrophages. HLA-A and HLA-B are genes for the human leucocyte antigens (HLA). Ref: Levinson W. (2012). Chapter 63. Complement. In W. Levinson (Ed), Review of Medical Microbiology & Immunology, 12e.